Surgeon excise a portion of liver to the left of the attachment of the falciform ligament. The segments that have been resected are
1. Segment 1a and 4
2. Segment 1 and 4b
3. Segment 2 and 3
4. Segment 1 and 3

Correct answer: 3. Segment 2 and 3

Explanation: Segmental anatomy of the liver Understanding the internal anatomy of the liver has greatly facilitated safe liver surgery. Couinaud, a French surgeon,described the liver as being divided into eight segments . Each of these segments can be considered as a functional unit, with a branch of the hepatic artery, portal vein and bile duct, and drained by a branch of the hepatic vein. It is the concept of these segments as distinct functional units that guides 'anatomical' liver resection. The overall anatomy of the liver is divided into a functional right and left 'unit'along the line between the gallbladder fossa and the middle hepatic vein (Cantlie's line). Liver segments (V-VIII) to the right of this line are supplied by the right hepatic artery and the right branch of the portal vein, and drain bile the right hepatic duct. To the left of this line (segments I-IV), functionally, is the left liver, which is supplied by the left branch of the hepatic artery and the left portal vein branch, and drains bile the left hepatic duct. Resections can be performed of indi- vidual segments or of the whole of the left or right hemiliver Ref: Bailey and love 27th edition Pg no :1153